Abtacept is used in treatment of which of the following conditions?
1. Rheumatoid arthritis
2. Asthma
3. Paroxysmal nocturnal hemoglobinuria
4. Autoimmune haemolytic anemia

Correct answer: 1. Rheumatoid arthritis

Explanation: Abatacept is a recombinant fusion protein composed of the extracellular domain of cytotoxic T-lymphocyte-associated antigen 4 (CTLA-4) fused to human IgG Fc. CTLA-4 is a costimulatory molecule found on T cells that binds to CD80 and CD86 on antigen presenting cells. This fusion protein blocks activation of T cells by binding to CD80 or CD86 so that CD28 on T cells cannot bind and stimulate the T cell and lead to cytokine release. Abatacept is approved for patients with severe rheumatoid arthritis who have failed other disease-modifying antirheumatic drugs Ref: Katzung 11th edition Chapter 61.